True about third heart sound is -a) Absent in Chr. constrictive pericariditisb) Absent in aortic aneurysmc) Absent in MSd) Normal physiologically in Athletes
1. ab
2. bc
3. bd
4. cd

Correct answer: 4. cd